Superior sulcus tumor of the lungs characteristically present With
1. Home syndrome
2. Breathlessness
3. Hemoptysis
4. Pancoast syndrome

Correct answer: 4. Pancoast syndrome

Explanation: Pancoast (or superior sulcus tumor) syndromes result from local extension of a tumor growing in the apex of the lung with involvement of the eighth cervical and first and second thoracic nerves, and present with shoulder pain that characteristically radiates in the ulnar distibution of the arm,often with radiological distribution of first and second ribs.Often pancoast syndrome and Horner's syndrome coexists. Ref:Harrison's med:18th edition,page no:510.